The major function of Major Intrinsic Protein 26 (MIP–26) is –
1. Glucose transport in lens
2. Transport of water in lens
3. Diffusion barrier
4. Capsule of lens

Correct answer: 2. Transport of water in lens

Explanation: Major intrinsic protein of the lens belongs to the super .family of aquaporins and is classified as aquaporin 0. MIP 26 or aquaporin 0 is permeable to water (water channels) and glycerol (glycerol channels). It serves two major functions to maintain the transparency of the lens
Transport of water across the lens
Transport of glycerol across the lens
Aquaporin 0 or MIP mutations have been postulated to result in the formation of cataracts (loss of transparency of lens).